Following accidental intra-arterial injection of thiopentone, which should not be done?
1. Remove the needle
2. Intra -arterial heparin
3. Intra-arterial papaverine
4. Do a stellate ganglion block

Correct answer: 1. Remove the needle

Explanation: Thiopental slows the activity of your brain and nervous system. Thiopental is used to help you relax before you receive general anesthesia with an inhaled medication.Thiopental may be used for other purposes not listed in this medication guide.